The right costo-phrenic line extends up to the level of which rib in the mid-axillary line -
1. 6th
2. 10th
3. 8th
4. 12th

Correct answer: 2. 10th

Explanation: The inferior margin of pleura extends onto diaphragm at the level of (Costodiaphragmatic line)
-        8th rib in the midclavicular line
-        10th rib in mid-axillary line
-        12th rib at the lateral border of erector spinae.
The lower border of lungs extends till the level of
-        6th rib in the midclavicular line
-        8th rib in mid-axillary line
-        10th rib at the lateral border of erector spinae.